Phagocytosis is the function of?
1. Astrocytes
2. Oligodendrocytes
3. Microglia
4. Schawan cells

Correct answer: 3. Microglia

Explanation: Ans is 'c' i.e., Microglia